Most common cause of Hemolytic Uremic Syndrome is
1. E.coli
2. Shigella
3. Salmonella
4. Pseudomonas

Correct answer: 1. E.coli

Explanation: Hemolytic-uremic syndrome (HUS) often occurs after a gastrointestinal infection with E coli bacteria (Escherichia coli O157:H7). However, the condition has also been linked to other gastrointestinal infections, including shigella and salmonella Causes Hemolytic-uremic syndrome (HUS) often occurs after a gastrointestinal infection with E coli bacteria (Escherichia coliO157:H7). However, the condition has also been linked to other gastrointestinal infections, including HUS is most common in children. It is the most common cause of acute kidney failure in children. Several large outbreaks have been linked to undercooked hamburger meat contaminated with E coli. E coli can be transmitted through: Contact from one person to another Consuming uncooked food, such as milk products or beef STEC-HUS is not to be confused with atypical HUS (aHUS) which is not infection-related. It is similar to another disease called thrombocytopenic purpura (TTP). Reference: GHAI Essential pediatrics, 8th edition